The maximum urinary concentration capacity in full term neonates is -
1. > 1000 mOsm/litre
2. 350 - 450 mOsm/litre
3. 900 - 1000 mOsm/litre
4. 600 - 700 mOsm/litre

Correct answer: 4. 600 - 700 mOsm/litre

Explanation: Ans. is 'd' i.e., 600-700 mOsm/Litre o A full term infant can concentrate his urine to a maximum of 700-800 mOsm/kg. o An older child can concentrate 1200-1400 mOsm/kg. o A newborn can dilute his urine to a minimum of 50 mOsm/kg much like an older child.